In Acute angle closure glaucoma all are seen EXCEPT:
1. Cupping of disc
2. Bayonetting sign
3. Snow banking
4. Oval cup

Correct answer: 3. Snow banking

Explanation: ANSWER: (C) Snow bankingREF: Khurana 4th ed p. 216"Snow banking is seen in pars planitis not acute angle closure glaucoma"Optic disc changes in POAG include:High cup:disc ratioCup:disc ratio asymmetry between eyes (usually considered significant if greater than 0.2)Vertical elongation of cupFocal neuro-retinal rim thinning or notchingVessel bayonetingBeta-zone peripapillary atrophyDisc hemorrhage